Which type of cartilage are involved to cover the synovial joint
1. Hyaline cartilage
2. Fibro cartilage
3. Semilunar cartilage
4. Elastic cartilage

Correct answer: 1. Hyaline cartilage

Explanation: (Hyaline cartilage) (91-IBS-Histology 4th) (93-94-I.B.Singh 5th)* The articular surface of most synovial joints are lined by hyaline cartilage. These articular cartilages provide the bone ends with smooth surfaces between which there is very little friction. They also act as shock absorber.* Articular cartilages are not covered by perichondrium. Their surface is kept moist by synovial fluid which also provides nutrition to thenHYALINE CARTILAGEFIBROCARTILAGE (white)ELASTIC CARTILAGE(a) Skeletal framework of the larynx (thyroid cartilage, cricoid cartilage, arytenoid cartilage)(b) The walls of the trachea and large bronchi contain incomplete rings of cartilage. Smaller bronchi have pieces of cartilage of irregular shape in their walls(c) Parts of the nasal septum, and of the lateral wall of the nose(d) In growing children long bones consist of a bony diaphysis & epiphyses Each epiphysis is connected to the diaphysis by a plate of hyaline cartilage called the epiphyseal plate1. Fibrocartilage is most conspicuous in secondary cartilaginous joints or symphysis** (AI-2005). These joints between bodies of vertebrae (where the cartilage forms intervertebral disc), the pubic symphysis and the manubriosternal joint2. In some synovial joints the joint cavity is partially or completely subdivided by an articular disc (Temporo-mandibular and Sternoclavicular joints and menisci of the knee joints)3. The glenoid labrum of the hip joint are made of fibrocartilage4. Where tendon run in deep grooves on bone, the groove are lined by fibrocartilage. Fibrocartilage is often present where tendons are inserted into bone.1. It forms the 'skeletal' basis of the auricle (or pinna) and of the lateral part of the external acoustic meatus2. The wall of the medial part of the auditory tube is made of elastic cartilage3. The epiglottis and two small laryngeal cartilages(corniculate and cuneiform) consist of elastic cartilage. Theapical part of the arytenoid cartilage contains elastic fibres but the major portion of its is hyaline